Venom of sea snake is mostly -
1. Neurotoxic
2. Haemolytic
3. Myotoxic
4. Hepatotoxic

Correct answer: 3. Myotoxic